Mycosis fungoides is? -
1. T cell lymphoma
2. B cell lymphoma
3. Mixed
4. Plasma cell tumour

Correct answer: 1. T cell lymphoma

Explanation: Mycosis fungoides is a slowly evolving cutaneous T cell lymphoma occuring in middle aged adult males. The condition is often preceded by eczema or dermatitis for several years. This is followed by infilteration by CD4+T cells in the epidermis and dermis as a plaque. Reference ; HARSH MOHAN TEXTBOOK OF PATHOLOGY, 7TH EDITION.PG NO. 359